Postmortem caloricity is seen in -
1. Strychning poisoning
2. Organophosphorus poisoning
3. Dhatura poisoning
4. Ergot poisoning

Correct answer: 1. Strychning poisoning